Actinobacillus actinomycetam comitans is
1. Gram positive aerobe
2. Gram negative aerobe
3. Obligate anaerobe
4. Facultative anaerobe

Correct answer: 4. Facultative anaerobe